Static compliance is decreased in all of the following except:
1. ARDS
2. Pulmonary edema
3. Interstial fibrosis
4. Emphysema

Correct answer: 4. Emphysema

Explanation: Answer is D (Emphysema): Emphysema is associated with an increased static compliance but decreased dynamic compliance. `The effect of emphysema on compliance is unique in that it results in an increase in static compliance but a decrease in dynamic compliance. Static compliance increases due to destruction of elastic tissues in the alveolar walls. The reduction in elastic tissue makes it easier for the lung to expand in response to distending pressure, However the loss of elastic tissue in the walls of smaller airways makes them vulnerable to dynamic airway compression. This increases the airway resistance with consequent decrease in dynamic compliance - 'Principles of Medical physiology' by Sircar 1" (2008)/320 Common causes of Rhonchi include: Bronchial Asthma COPD -- Chronic bronchitis, Bronchiectasis, Emphysema Cardiac Asthma (Pulmonary Edema) Foreign body (Fixed monomorphic rhonchi - localized) Tumor (Fixed monomorrphic rhonchi -- localized.) Static Compliance * Static compliance, indicates compliance when the lungs are at rest * Static compliance values reflect true lung compliance alone * Static compliance reflects elasticity of the lung and is not affected by airway resistance because there is no flow Reduced static compliance indicates rigid lung tissue * Interstitial fibrosis (Fibrosing al veolitis) * Atelectosis * Pulmonary edema * Pneumonia * ARDS Dynamic Compliance * Dynamic compliance indicates compliance when air flow is occurring * Dynamic compliance values reflect lung compliance along with airway resistance * Dynamic compliance is affected by both elasticity of the lung and airway resistance Reduced Dynamic compliance (without change in static compliance) indicates Ted airway resistance * Obstruction * Bronchospasm (Allergic Asthma) * Collapse of small airways etc Dynamic Compliance * Dynamic compliance indicates compliance when air flow is occurring * Dynamic compliance values reflect lung compliance along with airway resistance * Dynamic compliance is affected by both elasticity of the lung and airway resistance Reduced Dynamic compliance (without change in static compliance) indicates Ted airway resistance * Obstruction * Bronchospasm (Allergic Asthma) * Collapse of small airways etc Reduced static compliance is usually also associated with a decreased dynamic compliance due to associated airway resistance Increased static compliance indicates easily expandible lung Emphysema Emphysema is associated with an increased static compliance but decreased dynamic compliance due to associated increased airway resistance. Reduced Dynamic compliance with reduced static compliance Most conditions where static compliance is reduced are also associated with reduced dynamic compliance due to associated increase in airway resistance.